Removal of acidic drugs from body is done by using:
1. Ammonium chloride
2. Sodium bicarbonate
3. Hydrochloric acid
4. Citric acid

Correct answer: 2. Sodium bicarbonate